True about Enterotoxigenic E. Coli:
1. Causes epidemic diarrhoea in children in deve-loping countries
2. Not a cause of traveller's diarrhoea
3. Invasive
4. Spread by contaminated water

Correct answer: 4. Spread by contaminated water

Explanation: Ans. is (d) Spread by contaminated water Enterotoxigenic E. coli Affect all age group. ETEC diarrhea is endemic in the developing countries MC cause of traveller's diarrhea (indistinguishable from cholera). First step of pathogenesis is adherance of bacteria to intestinal mucosa which is mediated by colonisation factor antigen After adhesion bacteria produce either or both LT and STa. However, toxin alone does not lead to diarrhea. Source of infection: Contaminated water or food.